Most common route of spread of Hepatitis E is ?
1. Sex
2. Feco-oral
3. Blood transfusion
4. IV injections

Correct answer: 2. Feco-oral

Explanation: Ans. is `b' i.e., Feco-oral Virus Modes of transmission 1) Hepatitis A 2) Hepatitis B 3) Hepatitis C 4) Hepatitis D 5) Hepatitis E Feco-oral Percutaneous, perinatal, sexual Percutaneous Percutaneous, perinatal, sexual Feco-oral